All the following are modes of transmission of rabies, EXCEPT:
1. Person to person transmission
2. Aerosol
3. Ingestion of products made from infected animals
4. Licks

Correct answer: 3. Ingestion of products made from infected animals

Explanation: Aerosol transmission may occur in caves harbouring rabies infected bats. Person to person transmission is also on record. Eg - an infected child biting its parent. Ingestion of the virus is not believed to transmit the disease as the virus would be destroyed by stomach acid/enzymes. Ref: Park, Edition 21, Page 252